Not a posterior mediastinal tumor -
1. Neurofibroma
2. Lymphoma
3. Thymoma
4. Gastroenteric cyst

Correct answer: 3. Thymoma